Two drugs having opposite action on different receptors is which type of antagonism ?
1. Physical antagonism
2. Competitive antagonism
3. Non competitive antagonism
4. Physiological antagonism

Correct answer: 4. Physiological antagonism